pH of urine is
1. 7.10 - 7.40
2. 3 - 3.5
3. 4 - 6.5
4. 6.5 - 7.10

Correct answer: 3. 4 - 6.5

Explanation: Thats the normal ph of urine. Ref: guyton and hall textbook of medical physiology 12 edition page number: 503,504,505